Most common cause of U/L mucopurulent rhinorrhea in a child is:
1. Foreign body
2. Adenoids which are blocking the airways
3. Deviated nasal septum
4. Inadequately treated acute frontal sinusitis

Correct answer: 1. Foreign body

Explanation: A unilateral nasal discharge is nearly always due to foreign body and if duscharge has an unpleasant smell,it is pathognic. If a child presents with unilateral,foul smeling nasal discharge,foreign body must be excluded. Ref Dhingra 6/e,p 161.